All the following muscle are innervated by the facial nerve except:
1. Occipito-frontalis
2. Anterior belly of digastric
3. Risorius
4. Procerus

Correct answer: 2. Anterior belly of digastric

Explanation: Facial Nerve Supplies Facial muscles except levator palpebrae Superioris (Which is supplied by 3rd nerve).Posterior belly of DigastricStapediusAuricular musclesOccipto FrontalisPlatysmaStylohyoid